An ICU patient on atracurium infusion develops seizures after 2 days. The most probable cause is:
1. Accumulation of landonosine
2. Allergy to drug
3. Due to prolong infusion
4. All

Correct answer: 1. Accumulation of landonosine

Explanation: A i.e. Accumulation of laudanosine